A 30-year-old primigravida with BP of 160/96 mm Hg,BUN 14 mg/dL and creatinine is 1.0 mg/dL. Urinalysis shows no proteinuria. Complete blood count and liver function tests show no abnormalities. What is the first best drug to be given to this patient?
1. Furosemide
2. Labetalol
3. Lisinopril
4. Losartan

Correct answer: 2. Labetalol

Explanation: The first-line agents for management of essential hypertension during pregnancy are labetalol and methyldopa. If asked to choose between these two, then Labetelol is now considered to best first line drug for the management of hypertension in pregnancy Labetelol- 100-200 mg TID MOA- a + b blocker CCBs and hydralazine are acceptable alternate therapies. ACE inhibitors and ARBs are contraindicated in pregnancy.